Drugs used topically for dermatophytes-
1. Terbinafine
2. Cyclopirox olamine
3. Econazole
4. All of the above

Correct answer: 4. All of the above

Explanation: Ans. d. All of the aboveAll above mentioned antifungals can be used in dermatophytic fungal infection